Which of the following statement regarding mucinous cystadenoma pancreas is not true?
1. Microcystic adenoma
2. Lined by columnar epithelium
3. Pre malignant
4. Focus of ovarian stroma in it

Correct answer: 1. Microcystic adenoma

Explanation: Mucinous cystadenoma of pancreas is not a microcystic adenaoma. It is commonly seen in perimenopausal women. 2/3rd of it are located in the body or tail of the pancreas. These cysts have thick walls and does not communicate with the main pancreatic duct. They are lined by tall columnar epithelium that fills the cyst with viscous mucin. The submucosal layer consists of a highly cellular stroma of spindle cells with elongated nuclei similar to the ovarian stroma, which is a key pathologic feature distinguishing these lesions. Elevated CEA levels in the fluid (>200 ng/mL) suggest malignant transformation. All of these tumors will eventually evolve into cancer if left untreated. Malignant transformation is more common with larger tumors, and older patients. Distal pancreatectomy is the most common treatment.